All are short and rapid acting insulin except ?
1. Lispro
2. Aspart
3. Glargine
4. Glulisine

Correct answer: 3. Glargine

Explanation: Ans. is 'c' i.e., Glargine Rapid acting Insulin ----> Insulin lispro, Insulin aspart, Insulin glulisine. Short acting ----> Regular (soluble) insulin, semilente insulin. Intermediate acting ----> Insulin zinc suspension (Lente), Neutral protamine hagedorn (isophane insulin). Long acting ----> Protamin zinc insulin, Insulin glargine, Insulin determir Note : A mixture of soluble insulin and isophane insulin is called biphasic insulin.